In a population of 5000, number of new cases of TB is 500; old cases in the same population are 150. What is the prevalence of TB:
1. 9%
2. 12%
3. 13%
4. 18%

Correct answer: 3. 13%

Explanation: Ans. (c) 13%Ref: K. Park 23rd ed. / 61* Prevalence is calculated asNo. of new cases + no of old casesTotal Populationx 100* Therefore prevalence =500 + 1505000x 100* Prevalence =13%Also Know* Prevalence is a Proportion* Incidence is a Rate